Secular trend is a -
1. Long term
2. Short term
3. Both
4. None

Correct answer: 1. Long term

Explanation: Ans. is 'a' i.e., Long term